Uronic acid pathway is not involved in:
1. Conjugation of bilirubin
2. GAG synthesis
3. Vitamin C synthesis
4. Biotransformation

Correct answer: 3. Vitamin C synthesis

Explanation: Ans. C. Vitamin C synthesis(Ref: Harper 31/e page 186)Glucuronic acid is involved in the conjugation of Bilirubin.Uronic acid and amino sugar are the repeating disaccharide unit in the glycosamino glycans.Glucuronidation is a Phase II Xenobiotic reactions (Biotransformation)Uronic acid pathway cannot synthesize vitamin C in humans and higher primates because of lack of L-Gulano lactone oxidase